The drug which is a specific inhibitor of the enzyme alcohol dehydrogenase and is useful in the treatment of methanol and ethylene glycol poisoning is:
1. Disulfiram
2. Ethylene glycol
3. Calcium leucovorin
4. Fomepizole

Correct answer: 4. Fomepizole

Explanation: Fomepizole (4-methylpyrazole) is a specific inhibitor of alcohol dehydrogenase and the drug of choice for methanol poisoning by retarding its metabolism. A loading dose of 15 mg/kg i.v. followed by 10 mg/kg every 12 hours till serum methanol falls below 20 mg/dl, has been found effective and safe. It has several advantages over ethanol, viz. longer t 1/2 and lack of inebriating action, but is not available commercially in India.